Cartwheel sign is seen in
1. ASOM
2. CSOM
3. Serous otitis media
4. Tuberculous otitis media

Correct answer: 1. ASOM

Explanation: Cartwheel appearance is seen in ASOM. Leash of blood vessels appears along the handle of malleus and at the periphery of tympanic membrane imparting it a cart-wheel appearance. Later, whole of tympanic membrane including pars flaccida becomes uniformly red. Seen in stage of Presuppuration Reference: Dhingra; Chapter 10; Page no: 62